The mechanism of hearing and memory, include all except
1. Changes in level of neurotransmitter at synapse
2. Increasing protein synthesis
3. Recruitment by multiplication of neurons
4. Spatial Reorganization of synapse

Correct answer: 3. Recruitment by multiplication of neurons

Explanation: The various changes occurring are Increase in vesicle release sites for the secretion of transmitter substance, increase in number of transmitter vesicles released, increase in number of presynaptic terminals and changes in structures of the dendritic spines that permit transmission of stronger signals. REF: TEXTBOOK OF MEDICAL PHYSIOLOGY GUYTON AND HALL, 12e Page no 838